A patient presenting with haemoptysis and renal failure with antibasement membrane antibodies has -
1. Good pasture's
2. Wegener's
3. Churg Strauss
4. Henoch-schonlein purpura

Correct answer: 1. Good pasture's